Parotid duct passes through all the following structures except
1. Buccopharyngeal fascia
2. Buccinator
3. Buccal fat pad
4. Masesster

Correct answer: 4. Masesster

Explanation: The parotid gland lies in a deep hollow below the external auditory meatus, behind the ramus of the mandible, and in front of the sternocleidomastoid muscle.The facial nerve divides the gland into superficial and deep lobes.The parotid duct, or Stenson duct, is about 2 in. (5 cm) long and passes forward across the masseter about a fingerbreadth below the zygomatic arch.It passes through the buccal fat, buccopharyngeal fascia, and buccinator muscle then opens into the vestibule of the mouth next to the maxillary second molar tooth. The buccinator acts as a valve that prevents inflation of the duct during blowing.The submandibular glands are a pair of glands located beneath the lower jaws, superior to the digastric muscles.The secretion produced enters the oral cavity Wharton's ducts. Approximately 70% of saliva in the oral cavity is produced by the submandibular glands, even though they are much smaller than the parotid glands.